Which organ is spared in asymmetrical IUGR ?
1. Liver
2. Muscle
3. Subcutaneous fat
4. Brain

Correct answer: 4. Brain

Explanation: Brain